Fibroid causes all the following except:
1. Infertility
2. Amenorrhea
3. Pelvic mass
4. Menorrhagia

Correct answer: 2. Amenorrhea

Explanation: Ans. B. AmenorrheaSymptoms of fibroid are:a. Menorrhagia, polymenorrhea and metrorrhagiab. Infertility, recurrent abortionsc. Paind. Abdominal lumpe. Pressure symptomsf. Vaginal dischargeAround 50% women are asymptomatic.Important points:a. These are benign neoplasms occurring in 5-20% of women in reproductive age group.b. Oestrogen dependence on growth is most imp etiological factor, so rare before puberty and after menopause.c. Calcification begins at periphery whereas degeneration begins in central portion.d. Distribution of myoma in body of uterus is intramural (75%), submucous (15%) and subserous (10%).e. Red degeneration is seen in 2nd half of pregnancy and needs conservative management.f. Sarcomatous change is seen in 0.5% of all myomas. It occurs in post-menopausal women and characterized by sudden growth, pain and post-menopausal bleeding.Endometrial ca is associated with fibromyomas in women over 40 yrs of age in 3% cases